The Rorschach Inkblot test consists of a set of .......... standardized inkblots. These vary in colour, shading, form, and complexity.
1. 5
2. 7
3. 9
4. 10

Correct answer: 4. 10

Explanation: Rorschach Inkblot test- Evaluation of Personality, it contains 10 cards having ambiguous inkblot patterns and the subject has to interpret what he is seeing in the card from preselected options Extra Edge Thematic Apperception Test- Test is built on the assumption that people's stories reveal important aspects of their needs and self-perceptions as well as their views about significant others' in their life. In rhis 20 stimulus cards depicting a number of scenes of varying ambiguity will be shown.